AII are true about Hexose monophosphate pathway (HMP) except -
1. Produce NADPH in oxidative phase of pathway
2. Does not produce ATP
3. Occurs in testes, ovaries, placenta and adrenal cortex
4. Produces ribose 5-phosphate in oxidative phase of pathway

Correct answer: 4. Produces ribose 5-phosphate in oxidative phase of pathway

Explanation: Ans is. 'd' i.e., Produces ribose 5-phosphate in oxidative phase of pathway HMP shunt is a multicyclic process in which 3 molecules of glucose-6-phosphate give rise to 3 molecules of CO, and 3 molecules of 5-carbon sugars (ribulose-5-phosphate).The latter are rearranged to generate 2 molecules of glucose-6-phosphate (through fructose-6-phosphate) and 1 molecule glyceraldehyde-3-phosphate. HMP shunt does not generate ATP.HMP shunt occurs in the cytosol. It is highly active in liver, adipose tissue, adrenal cortex, lens, cornea, lactating (but not the nonlactating) mammary gland, Gonads (testis, ovary) and erythrocytes. Activity of this pathway is minimal in muscle and brain, where almost all of the glucose is degraded by glycolysis.